Lesion with intact skin but tearing of subcutaneous tissue is:
1. Scalds
2. Laceration
3. Contusion
4. Abrasion

Correct answer: 3. Contusion

Explanation: Ans. C: Contusion In bruise/contusion, there is painful swelling and crushing or tearing of the subcutaneous tissue usually without destruction of the skin. It is relatively minor hematoma of tissue in which capillaries and sometimes venules are damaged by trauma, allowing blood to seep into the surrounding extracellular space. Bruises can involve capillaries at the level of skin, subcutaneous tissue, muscle, or bone. A bruise may be named by the length of its diameter as an ecchymosis (1 to 3 cm), purpura (3 mm to 1 cm), or petechia (< 3 mm),